Not a feature of hepato-renal syndrome:
1. Normal GFR
2. Normal urinary sediments
3. Low Na+ in urine
4. Normal renal biopsy

Correct answer: 1. Normal GFR

Explanation: Hepato-renal syndrome is a form of functional renal failure without renal pathology. Diagnosis is made in the presence of a large amount of ascites in patients who have a step-wise progressive increase in creatinine. Type 1 HRS is characterized by a progressive impairment in renal function and a significant reduction in creatinine clearance within 1-2 weeks of presentation. Type 2 HRS is characterized by a reduction in GFR with an elevation of S. creatinine level, but it is fairly stable and is associated with a better outcome than that of Type 1 HRS.